Which of the following part of uterus is not covered with peritoneum ?
1. Fundus
2. Anterior surface of body of isthmus
3. Posterior surface of body of to posterior fornix of vagina
4. Right & Left lateral borders

Correct answer: 4. Right & Left lateral borders

Explanation: Each lateral border is rounded and convex.It provides attachment to the broad ligament of the uterus which connects it to the lateral pelvic wall. The uterine tube opens into the uterus at the upper end of this border. This end of the border gives attachment to the round ligament of the uterus, anteroinferior to the tube; and to the ligament of the ovary posteroinferior to the tube. The uterine artery ascends along the lateral border of the uterus between the two layers of the broad ligament , so these borders are not covered with peritoneum. Ref : B D Chaurasia's Human Anatomy , Seventh edition , Volume 2 , pg.no., 420. Fig Ref : B D Chaurasia's Human Anatomy , Seventh edition , Volume 2 , pg.no., 418 ( Fig. 31.6 )